IPC 304B is related to -
1. Punishment for cruelty by husband or his relatives
2. Dowry death
3. Death caused by negligence
4. Punishment of culpable homicide, not amounting to murder

Correct answer: 2. Dowry death

Explanation: IPC 304 - Punishment of culpable homicide, not amounting to murder IPC 304 A - Death caused by negligence IPC 304 B - Dowry death : 10 years of imprisonment which can extend to life. IPC 498 - Punishment for cruelty by husband or his relatives. Ref ; Narayana reddy 33rd ed.